Medication used in the treatment of idiopathic central precocious puberty include:
1. Exogenous gonadotropins
2. Ethinyl estradiol
3. GnRH agonists
4. Clomiphene citrate

Correct answer: 3. GnRH agonists

Explanation: Most effective treatment for central precocious puberty is the use of a Long-acting GnRH agonist, such as leuprolide and others. These drugs act by down regulating pituitary gonadotropes, eventually decreasing the secretion of FSH and LH, which are inappropriately stimulating the ovaries. As a result of this induced hypogonadotropic state, ovarian hormones (oestrogens, progestins, and androgens) are suppressed back to pre-pubertal levels, and precocious pubertal development stops or regresses. During the first 1 or 2 weeks of therapy, there is a flare-up effect of increased gonadotropins and sex steroids-a predicted side effect of these medications. At the time of expected puberty, the GnRH analogue is discontinued and the pubertal sequence resumes.